Low calcium and high phosphate is seen in
1. Hyperparathyroidism
2. Hypoparathyroidism
3. Hyperthyroidism
4. Hypothyroidism

Correct answer: 2. Hypoparathyroidism